Drug of choice for herpes simplex viral infections is:-
1. Acyclovir
2. Tenofovir
3. Ganciclovir
4. Abacavir

Correct answer: 1. Acyclovir

Explanation: Acyclovir is the drug of choice for herpes simplex viral infections. Viral infection Drug of choice Herpes simplex Acyclovir Herpes zoster Valacyclovir CMV Ganciclovir Influenza Oseltamivir RSV Ribavirin Hepatitis B Tenofovir Hepatitis C Combination of oral drugs* HIV Tenofovir + Lamivudine + Efavirenz *HCV protease inhibitors (previrs), NS5A inhibitors (asvirs) and NS5B inhibitors (buvirs) are used in different combinations for different genotypes MC resistance mechanism in HSV-1 for acyclovir is absent or deficient viral thymidine kinase activity. Viral thymidine kinase is required for the initial phosphorylation of acyclovir to acyclovir monophosphate which converts to active acyclovir triphosphate by cellular kinases.